Ovulation can be evaluated by?
1. Cervical mucous
2. Cervical colour
3. Cervical dilation
4. Cervical effacement

Correct answer: 1. Cervical mucous

Explanation: ANSWER: (A) Cervical mucousREF: Shaw 13th ed p. 213"Cervical mucus changes can be used to assess ovulation using the fern test"